Right sided pleural effusion is best viewed in which position:
1. Left lateral decubitus
2. Right lateral decubitus
3. Full inspiration erect
4. Full expiration erect

Correct answer: 2. Right lateral decubitus

Explanation: Ans. Right lateral decubitus